Most osmotically active intracellular cation
1. K+
2. Na+
3. Mg+2
4. Protein

Correct answer: 1. K+

Explanation: Potassium is the major intracellular cation, it helps to establish resting membrane potential in neurons and nerve fibers after membrane depolarization and action potential Ref:Guyton and Hall textbook of medical physiology 12th edition,page number:50,51,52